Class I MHC molecules are expressed on all Except
1. Dendritic cells
2. Epithelial cells
3. Platelets
4. Red Blood Cells

Correct answer: 4. Red Blood Cells

Explanation: Class I MHC molecules are expressed on all nucleated cells and plateletsReference: Robbins and Cotran Pathologic Basis of Disease; 9th edition; Volume I; Page no: 195